Linear coefficient of thermal expansion of metal used in metal ceramic restoration range from
1. 11.5-12.5 x 10-6/degree Celsius
2. 10.5-11.5 x 10-6/degree Celsius
3. 13.5-14.5 x 10-6/degree Celsius
4. 16.5-17.5 x 10-6/degree Celsius

Correct answer: 3. 13.5-14.5 x 10-6/degree Celsius